A 40-year-old diabetic female presented with complaints of fatigue, abdominal distension, pruritis, anorexia, myalgia and skin rashes. On examination, icterus, hepatosplenomegaly and ascites were noted. Lab finidngs - elevated SGOT/SGPT levels, IgG levels and ANA titres, hypoalbuminemia, prolonged PT, normocytic normochromic coombs positive hemolytic anemia. A liver biopsy was conducted and HPE examination was done. All of the following antibodies are seen in the above condition except: -
1. Anti-LKM 1 Ab
2. Anti-LKM 2 Ab
3. Anti-SMA
4. pANCA

Correct answer: 2. Anti-LKM 2 Ab

Explanation: This is a case of Autoimmune hepatitis in background of other autoimmune disorders like DM, AIHA etc. HPE image shows a focus of lobular hepatitis with prominent plasma cells typical for this disease. Antibodies seen in AIH are: - ANA ANTI- SMA ANTI LKM 1 ANTI LC 1 pANCA SLA ANTI LKM 2 Ab is seen in drug induced hepatitis.